A 16-year-old boy lost his sight in one eye after a fight. Under which section of IPC is grievous injury included?
1. Section 319
2. Section 320
3. Section 324
4. Section 326

Correct answer: 2. Section 320

Explanation: Grievous injury is included under section 320. The following kinds of hurt only are designated as "grievous": ? Emasculation ? Permanent privation of the sight of either eye ? Permanent privation of the hearing of either ear ? Privation of any member or joint ? Destruction or permanent impairing of the powers of any member or joint ? Permanent disfiguration of the head or face ? Fracture or dislocation of a bone or tooth ? Any hurt which endangers life or which causes the victim to be in severe bodily pain or unable to follow his ordinary pursuits for a period of 20 days.